Crystalline lens absorbs light rays shorter than:
1. 295 rim
2. 350 nm
3. 390 nm
4. 490 nm

Correct answer: 2. 350 nm

Explanation: Ans. 350 nm